Which of the following is the most common content in 'Hernia en glissade'?
1. Omentum
2. Urinary bladder
3. Caecum
4. Sigmoid colon

Correct answer: 4. Sigmoid colon

Explanation: Hernia en glissade or sliding hernia It is defined as any hernia in which part of the sac (usually the post. is formed by the wall of viscus. In this type of hernia viscera is liable to be injured if the hernial sac is resected during surgery. It should be clearly understood that the caecum, appendix or part of colon wholly within a hernial sac does not constitute a sliding hernia (The viscera must form a wall of the sac to be termed as sliding hernia) Sliding hernia occur almost exclusively in men and is seen nearly always over 40 years of age. Most common content On right side Caecum On left side Sigmoid colon Since left sided hernia is common than right side ( 5:1 ), sigmoid colon is the obvious choice for the most common content. Other contents may be appendix, urinary bladder, uterus, fallopian tube, ovary or ureter. Ref: Bailey & Love 25/e, Page 977.